Medical adrenalectomy can be done by:
1. Vincristine
2. Vinblastine
3. Mitotane
4. Methotrexate

Correct answer: 3. Mitotane

Explanation: Ans. C i.e. Mitotane